Glucocorticoids without mineralcorticoid activity is seen in all except:
1. Triamcinolone
2. Betamethasone
3. Cortisol
4. Dexamethosone

Correct answer: 3. Cortisol

Explanation: Cortisol (Hydrocortisone) has primary glucocorticoid action and has significant mineralocorticoid activity triamcenolone, betamethasone, dexamethasone are pure glucocorticoids with no minerALOcorticoid activity (REF.Essential of medical pharmacology K D TRIPATHI 6 Edition, Page No 281)